Genital was in pregnancy treatment is
1. Podophylin
2. Salicylic acid & lactic acid
3. Cryotherapy
4. Imiquinod

Correct answer: 3. Cryotherapy

Explanation: Cryotherapy T/T of anogenital was Topical medication Trichloracetic acid or Podophyllin resin applied weekly. hniquinod or podofilox should also be used. Crvotherapy and laser therapy Cryotherapy (freezing) using nitrous oxide or carbon dioxide is used in was who do not respond to topical treatment. Carbon dioxide laser is used for larger and more numerous was. TIT of anogenital was during pregnancy :- "Cryotherapy and laser therapy are the preferred t/t methods" The only topical therapy which can be used during pregnancy is Trichloracetic acid. Podophyllin resin is not used during pregnancy.